Allergic salute is seen in
1. Allergic rhinitis
2. Chronic sinusitis
3. Nasal Myiasis
4. Chronic conjunctivitis

Correct answer: 1. Allergic rhinitis

Explanation: Allergic salute: The characteristic gesture of a person with allergic rhinitis: rubbing his or her nose with the index finger.